In 'AMPLE' history of ATLS what does the letter 'L' stand for
1. Last meal
2. Latest events
3. Loss of consciousness
4. Location of the event

Correct answer: 1. Last meal

Explanation: Review of patient's history (AMPLE)_ Allergy_ Medication, including tetanus status_ Past medical history_ Last meal_ Events of the incident